Selective reduction of multi chorionic multifetal gestation is performed around
1. 4 to 6 weeks
2. 8 to 10 weeks
3. 10 to 13 weeks
4. 16 to 20 weeks

Correct answer: 3. 10 to 13 weeks

Explanation: Selective Reduction Reduction of a selected fetus or fetuses in a multi chorionic multifetal gestation may be chosen as a therapeutic intervention to enhance survival of the remaining fetuses (ACOG, 2013a).Transabdominal fetal reductions are typically performed between 10 and 13 weeks. This gestational age is chosen because most spontaneous abortions have already occurred, the remaining fetuses are large enough to be evaluated sonographically, the amount of devitalized fetal tissue remaining after the procedure is small, and the risk of aborting the entire pregnancy as a result of the procedure is low. The smallest fetuses and any anomalous fetuses are chosen for reduction. Potassium chloride is then injected under sonographic guidance into the heart or thorax of each selected fetus(Ref: William's Obstetrics; 25th edition)